Fructose uptake in small intestine is via-
1. Passive diffusion
2. Facilitated diffusion
3. Primary active transport
4. Secondary active transport

Correct answer: 2. Facilitated diffusion

Explanation: Ans. (b) Facilitated diffusion(Ref: Ganong, 25th ed/p.477)Fructose is absorbed from intestinal lumen into the enterocytes by GLUT5 and out of the enterocytes into the interstitium by GLUT2This type of transport is an example for facilitated diffusion